Paul Bunnel test is done for:
1. Malta fever
2. Typhus fever
3. Enteric fever
4. Infectious mononucleosis

Correct answer: 4. Infectious mononucleosis

Explanation: Ans. D: Infectious Mononucleosis The standard diagnostic procedure for infectious mononucleosis is the Paul-Bunnell test Heterophile antibody tests Such as the Paul Bunnell or Monospot tests may be used in the diagnosis of glandular fever/ infectious mononucleosis. Heterophil antibodies have the ability to agglutinate red blood cells of different animal species. The Paul-Bunnell test uses sheep erythrocytes; the Monospot test, horse red cells. For infectious mononucleosis, the standard diagnostic procedure is the Paul-Bunnel test IgM heterophil antibodies are usually detectable for the first 3 months of infection. Characteristically, they are able to agglutinate sheep erythrocytes; it is absorbed by ox red blood cell but not guinea-pig kidney cells. Infectious mononucleosis Infectious mononucleosis occurs with infection by the Epstein-Barr virus. A similar condition can be caused by cytomegalovirus, but that one gives a negative on the heterophile antibody test. The infection is spread saliva and has an incubation period of 4-7 weeks. Symptoms usually persist for 2-3 weeks, The virus replicates first within epithelial cells in the pharynx (which causes pharyngitis, or sore throat), and later primarily within B cells (which are invaded their CD21). The host immune response involves cytotoxic (CD8-positive) T cells against infected B lymphocytes, resulting in enlarged atypical lymphocytes (Downey cells). When the infection is acute (recent onset, instead of chronic), heterophile antibodies are produced The most commonly used diagnostie-criterion is the presence of 50% lymphocytes with at least 10% atypical lymphocytes (large, irregular nuclei), while the person also has fever, pharyngitis and adenopathy. The atypical lymphocytes resembled monocytes when they were first discovered, thus the term "mononucleosis" was coined. The presence of splenomegaly, posterior cervical adenopathy, axillary adenopathy, and inguinal adenopathy are the most useful to suspect a diagnosis of infectious mononucleosis. On the other hand, the absence of cervical adenopathy and fatigue are the most useful to dismiss the idea of infectious mononucleosis as the correct diagnosis. Elevated hepatic transaminase levels is highly suggestive of infectious mononucleosis, occurring in up to 50% of patients. A fibrin ring granuloma may be present